Fexofenadine is metabolic product of :
1. Loratidine
2. Astemizole
3. Cetrizine
4. Terfenadine

Correct answer: 4. Terfenadine